Basophilic inclusion bodies are seen in:
1. Adenovirus
2. Polio virus
3. Measles virus
4. Herpesvirus

Correct answer: 1. Adenovirus

Explanation: Ans. is 'a' i.e., Adenovirus Inclusion bodies are aggregates of stainable substances in the nucleus or cytoplasm.Cowdry inclusion bodies are classified into two groups called type A and B.Type A included those (a) which were granular and (b) which produced a severe reaction in the cell leading to death.Type B were those (a) which were amorphous irregular masses or hyaline spheres and (b) which produced only mild reactions in the cell.Viral inclusion bodies:Intracytoplasmic:1. Henderson - Peterson bodies in Molluscum Contagiosum.2. Negri bodies in Rabies.3. Guarnieri bodies (B type inclusion bodies) in Smallpox.Intranuclear:1. AcidophilicCowdry Type A.- Varicella Zoster Virus.- Herpes Simplex Virus.- Yellow Fever Virus (Torres bodies).Cowdry Type B- Polio.2. BasophilicCowdry Type B - Adenovirus.Cytomegalovirus - Owl eye.Intranuclear and Intracytoplasmic: Measles virus.Inclusion Bodies in Red Blood Cells:1. DevelopmentalHowell Jolly Bodies.Basophilic Stipplings.Pappenheimer Bodies.Cabot Rings.Polychromatophilic Red Cells.2. Hemoglobin PrecipitatesHeinz bodies.Hemoglobin H inclusions.3. ProtozoalMalaria.Babesia.Inclusion Bodies in Skin Conditions:1. Asteroid bodies - Sporotrichosis.2. Cowdry A - Herpes Simplex.3. Donovan bodies - Granuloma Inguinale.4. Dutcher bodies - Multiple Myeloma, Primary cutaneous marginal zone lymphoma.5. Pustulo-ovoid bodies - Granular cell tumor.6. Medlar bodies - Chromoblastomycosis.7. Michaelis - Gutmann bodies - Malakoplakia.8. Rocha Lima bodies - Verruga peruana.9. Russell bodies - Multiple myeloma.10.Rhinoscleroma bodies.11.Verocay bodies - Schwannoma.12.Virchow bodies - Leprosy.Councilman Bodies:Eosinophilic bodies found in the liver in the following cases:1. Yellow Fever.2. Acute Viral Hepatitis.3. Viral Hemorrhagic Fever.Dohle Bodies:Dohle bodies are basophilic inclusions found in cytoplasm of neutrophils and are thought to be remnants of rough endoplasmic reticulum.Dohle bodies are seen in:1. Burns.2. Infections.3. Physical trauma.4. Neoplastic diseases.5. Wissler's disease.6. May-Hegglin anomaly.7. Chediak-Steinbrinck - Higashi's syndrome.